A child under 7 years of age is incapable of committing an offence comes under
1. Sec 82 IPC
2. Sec 83 IPC
3. Sec 84 IPC
4. Sec 89 IPC

Correct answer: 1. Sec 82 IPC

Explanation: An act which is done by a child under 7 years of age is not an offence S.82, I.P.C. A child between 7 and 12 years is presumed to be capable of committing an offence if he attained sufficient maturity of understanding to judge the nature and consequences of his conduct on that occasion.S.83.I.P.C. The Synopsis of Forensic Medicine and Toxicology by Dr. k.S. Narayan Reddy 29th edition page no: 49.